Cardiac event at the end of isometric relaxation phase:-
1. Atrioventricular valves open
2. Atrioventricular valves closes
3. Corresponds to peak of C wave in JVP
4. Corresponds to T wave in ECG

Correct answer: 1. Atrioventricular valves open

Explanation: Cardiac Cycle: Phase of cardiac cycle ECG changes Valves JVP Heart sound Atrial systole or last phase of ventricular diastole P wave PR interval - a wave 4th Isometric ventricular contraction QRS complex Starts with AV valve closure c wave due to bulging of AV valves back to atria 1st Rapid ventricular ejection ST segment Semilunar valve opens x descent - Slow ventricular ejection T wave - - - Protodiastole + isometric relaxation - Starts with closure of semilunar valves and ends with opening of AV valves (Appearance of dicrotic notch or incisura in pulse wave tracing) V wave 2nd Rapid ventricular filling - AV valve opens y descent 3rd Diastasis - - - -